Migration study is used to study:
1. Sociodemographic reasons for migration of a population
2. Prevelence of disease in a population
3. Environment and genetic factors in a disease in population
4. Disease with Long incubation period

Correct answer: 3. Environment and genetic factors in a disease in population

Explanation: MIGRATION STUDIES Use: Evaluation of role of possible Genetic and Environmental factors in occurence of a disease in a population. Study Design: Comparision of Disease rates & Death rates of, Migrants with kin who stayed at home. MIgrants with Local population of host country. Limitation: Non-random assignment to Groups: Migrants are self-selected Environmental factors may act at certain age/point only Not useful for disease with long incubation period Ref: Park 25th edition Pgno: 75